Which of the following statement on lymphoma is not true?
1. A single classification system of Hodgkin's disease is almost universally accepted
2. Hodgkin's lymphoma tends to remain localized to a single group of lymph nodes and spreads by contiguity
3. Several types of Non-Hodgkin's lymphoma may have aleukemic phase
4. In general follicular NHL has worse prognosis compared to diffuse NHL

Correct answer: 4. In general follicular NHL has worse prognosis compared to diffuse NHL

Explanation: Classification system of Hodgkin's disease is ANN ARBOR staging system The prognosis of Non-Hodgkin's lymphoma varies markedly with various histological types of Non Hodgkin's lymphoma. In general lymphomas with a follicular histological pattern are of lower grade (longer survival than those of diffuse pattern). Clinical difference between Hodgkin's and Non Hodgkin's lymphoma: Hodgkin's lymphoma Non Hodgkin's lymphoma More often localized to a single axial group of cervical, mediastinal, para-aortic nodes More frequent involvement of multiple peripheral nodes Orderly spread by contiguity Non contiguous spread Mesenteric nodes and Waldeyer ring rarely involved Waldeyer ring and mesenteric nodes commonly involved Extra-nodal involvement uncommon Extra-nodal involvement